Anaesthetic having epileptogenic potential is:
1. Desflurane
2. Enflurane
3. Ether
4. Halothane

Correct answer: 2. Enflurane

Explanation: Enflurane may precipitate seizures in epileptic patients. Desflurane , ether and Halothane doesn't precipitate seizures and can be safely used in them. From padmaja 4th edition Page no 193